Method of autopsy in which various systems organs are removed en masse -
1. Rokitansky
2. Virchow
3. Gasses
4. Lettulle

Correct answer: 4. Lettulle

Explanation: In Letulles technique cervical, thoraxic, abdominal and pelvic organs are removed en masse and dissected as organ block. Dr. Narayana Reddys Synopsis of Forensic Medicine & Toxicology 27 th edition pg. 57.